The advantage of ZOE impression paste:
1. Has dimensional. stability
2. Does not adhere to tissues
3. Is easy manipulation
4. Does not require special trays

Correct answer: 1. Has dimensional. stability